Griesinger's sign is seen in -
1. Lateral sinus thrombosis
2. Meningitis
3. Brain abscess
4. Cerebellar abscess

Correct answer: 1. Lateral sinus thrombosis

Explanation: Lateral Sinus Thrombophlepitis

It is inflammation of the walls of sigmoid sinus (lateral sinus) with the formation of thrombus - Complication of acute coalescent mastoiditis or masked mastoiditis
Aetiology - Chronic SOM with cholesteatoma